Which among the following is not a feature of Hemobilia?
1. Malena
2. Jaundice
3. Fever
4. Biliary Colic

Correct answer: 3. Fever

Explanation: Fever REF: Sabiston Textbook of Surgery, 18th ed chapter 52 Hemobilia is defined as bleeding into the biliary tree from an abnormal communication between a blood vessel and bile duct. The most common causes of hemobilia in modern times are iatrogenic trauma, accidental trauma, gall-stones, tumors, inflammatory disorders, and vascular disorders. Quinke's" triad of upper abdominal pain, upper gastrointestinal haemorrhage and jaundice is classical but only present in 22% cases The symptoms and signs of major hemobilia are melena (90% of cases), hematemesis (60% of cases), biliary colic (70% of cases), and jaundice (60% of cases).